Indications of celiotomy in blunt trauma:
1. Grade I spleen damage
2. Grade II liver damage
3. Peritoneal air on imaging
4. All

Correct answer: 3. Peritoneal air on imaging

Explanation: Ans is C (Peritoneal air on imaging) Most spleen and liver injuries are managed non-operatively, if the patient is hemodynamically stable.